Xeroradiography is used in... cancer detection.
1. Stomach
2. Breast
3. Colonic
4. Pancreatic

Correct answer: 2. Breast

Explanation: Ans. Breast